Pyridoxal phosphate is needed in:
1. Glycogenolysis
2. Fatty acid oxidation
3. Glvcogenesis
4. Gluconeogenesis

Correct answer: 1. Glycogenolysis

Explanation: Ans-A Ref: Harper's Illustrated Biochemistry,28th edition Explanation: Glycogenolysis is the breakdown of glycogen. Glycogen Phosphorylase catalyzes the phosphorolytic cleavage of the (l-4) glycosidic linkages of glycogen, releasing glucose-1- phosphate as the reaction product. Glycogen (n residues)+ Pi - glycogen (n-1 residues) + glucose-1-phosphate Pyridoxal phosphate (PLP), a derivative of vitamin B6. serves as the prosthetic group for Glycogen Phosphorylase. Pyridoxal phosphate (PLP) is held at the active site with the e-amino group of a lysine residue.